Wood's lamp is made up of -
1. 9% nickel oxide with 6% barium silicate
2. 9% nickel oxide with 9% barium silicate
3. 6% nickel oxide with 6% barium silicate
4. 9% nickel oxide with barium silicate

Correct answer: 4. 9% nickel oxide with barium silicate

Explanation: Wood's Lamp It is a low intensity ultraviolet light(360nm) emitted by a high pressure mercury lamp fitted with a special filter made up of 9% nickel oxide and silica.